All of the following statements about Paneth cells are true, except
1. Rich in Rough Endoplasmic Rectuculum
2. Rich in Zinc
3. Contain Lysozyme
4. Foamy appearance

Correct answer: 4. Foamy appearance

Explanation: Paneth cells, along with goblet cells, enterocytes, and enteroendocrine cells, represent the principal cell types of the epithelium of the small intestine. (A few may also be found sporadically in the cecum and appendix. image ref - semantischolar.org